The hemoatoxylin and eosin staining of a lung section during autopsy of a patient suffering from AIDS shows desquamation of type 1 pneumocytes with prominent intracuclear basophilic inclusion bodies surrounded by a clear halo. The CD4 count was less than 100/mm3 before detnis- ' most likely diagnosis causing these featuresis:
1. Acute respiratory distress syndrome
2. Pneumocystic jiroveci pneumoni
3. CMV pneumonia
4. Mycobacterium avium-intracellulare pneumonia

Correct answer: 3. CMV pneumonia

Explanation: Ans. c. CMV pneumonia